Which of the following test assesses resistance in middle ear -
1. Pure tone audiometry
2. Impedance audiometry
3. Caloric test
4. BERA (Brainstem evoked response audiometry)

Correct answer: 2. Impedance audiometry

Explanation: Impedance Audiometry
1. It is an objective test for hearingQ
2. It is very useful in children for assessing the hearing loss. Q
3. It consists of tympanometry and acoustic reflex
Tympanometry is a measure of the condition of the middle ear at the level of tympanic membrane.
NOTE: 

For infants and neonates, tympanograms obtained using a 220 Hz probe may erroneously appear normal.

∴ a higher frequency probe tone (660 or 1000 Hz) must be used